All of the following are most important and potential agents which can be used for Bio-terrorism except:
1. Smallpox
2. Plague
3. Botulism
4. Tuberculosis

Correct answer: 4. Tuberculosis

Explanation: Category of bio-terrorism agnets: Category A Category B Category C Can be easily disseminated High mortality rates Public panic and disruption Moderately easy to disseminate Moderate morbidity + low morbidity Require enhanced diagnostic capacity Require enhanced surveillance Emerging pathogens Available Ease to production High morbidity and mortality Botulism Tularemia Anthrax Smallpox Plague Viral hemorrhagic fevers Brucellosis Clostridium Perfringens Food safety threats Water safety threats Glanders Meliodoses Psittachosis Q fever Ricin toxin Staphylococcal enterotoxin B Epidemic typhus Viral encephalitis Nipah virus Hanta virus